Drugs which produce gynecomastia are all EXCEPT:
1. Cimetidine
2. Digoxin
3. Cortisol
4. Spironolactone

Correct answer: 3. Cortisol

Explanation: Drugs causing gynecomastia anti-androgens used to treat prostate enlargement, prostate cancer-flutamide, nilutamide finasteride, dutasteride Anabolic steroids like stanozolol Anti-anxiety medications, such as diazepam (Valium). Tricyclic antidepressants. cimetidine spironolactone digoxin metochlopromide ESSENTIAL of MEDICAL PHARMACOLOGY SIXTH EDITION -KD TRIPATHI Page:298d